Maximum refractive power is due to the
1. Anterior surface of lens
2. Posterior surface of lens
3. Anterior surface of cornea
4. Posterior surface of cornea

Correct answer: 3. Anterior surface of cornea

Explanation: Ans. Anterior surface of cornea